INFLIXIMAB (systemic) is used in
1. Crohn's disease (treatment)
2. To reduce the number of draining enterocutaneous fistula(s) in patients with fistuLizing crohn's disease
3. Rheumatoid arthritis (treatment)
4. All of the above

Correct answer: 4. All of the above